H reflex on electromyography is seen in:
1. L1 Radiculopathy
2. L4 Radiculopathy
3. L5 Radiculopathy
4. S1 Radiculopathy

Correct answer: 4. S1 Radiculopathy

Explanation: The H reflex is basically an electrophysiologically recorded Achilles tendon stretch reflex Is performed by stimulating the tibial nerve in popliteal fossa. It is recorded over the soleus or gastrocnemius muscles. It is used most commonly to evaluate S1 radiculopathy or to distinguish it from an L5 radiculopathy.i